A 41-year-old woman is brought to the emergency department by her family because of acute onset of right upper quadrant pain, nausea, and vomiting. For this case, it is important to remember that the bile duct:
1. Drains bile into the second part of the duodenum
2. Can be blocked by cancer in the body of the pancreas
3. Joins the main pancreatic duct, which carries hormones
4. Is formed by union of the right and left hepatic duct

Correct answer: 1. Drains bile into the second part of the duodenum

Explanation: The bile duct is formed by union of the common hepatic and cystic ducts, lies lateral to the proper hepatic artery and anterior to the portal vein in the right free margin of the lesser omentum, traverses the head of the pancreas, and drains bile into the second part of the duodenum at the greater papilla.